A 35-year-old woman with active lupus nephritis falls forward and lands on her left hand. She has immediate pain. On examination, there is crepitus at the wrist. A radiograph shows radial and navicular fractures along with marked osteopenia. Which of the following medications most likely contributed to the fracture?
1. Hydrocortisone
2. Ibuprofen
3. Lisinopril
4. Losartan

Correct answer: 1. Hydrocortisone

Explanation: Corticosteroids may be needed to treat severe lupus nephritis, and continuing therapy increases the risk for Cushing syndrome with osteoporosis. Corticosteroids stimulate RANKL expression, inhibit osteoblast osteoprotegerin (OPG) synthesis, and thereby enhance osteoclast proliferation to promote bone resorption. Ibuprofen and other nonsteroidal anti-inflammatory drugs (NSAIDs) should not be used with renal failure. Lisinopril, an angiotensin-converting enzyme (ACE) inhibitor, and losartan, an angiotensin receptor blocker (ARB), may be used to treat hypertension with renal disease, but they do not directly affect bone density. Methotrexate is a chemotherapy agent that is best used with rheumatoid arthritis, not systemic lupus erythematosus, and at low doses is less likely to lead to osteoporosis.